Left supra-renal vein is tributary of
1. Renal vein
2. IVC
3. Superior mesenteric vein
4. Inferior mesenteric vein

Correct answer: 1. Renal vein

Explanation: Ans. a (Renal vein). (Ref. BD Chaurasia Human Anatomy Vol. II 3rd ed. 274)# Each adrenal has three arteries supplying it, superior supra-renal artery--a branch of inferior phrenic, middle suprarenal--a branch of abdominal aorta and inferior supra-renal artery--a branch of renal artery# Each gland has one vein, right drains into IVC and left into left renal vein.KIDNEYS# Arterial supply:- The paired renal arteries are branches of the abdominal aorta.- Interlobar arteries travel in renal columns in the cortical areas between pyramids.- Arcuate arteries run parallel to bases of pyramids.- Interlobular arteries are branches of arcuate arteries.- Afferent arterioles lead to capillary tufts of glomeruli.# Venous drainage:- Follows the same pattern as the arteries.- The right renal vein enters the inferior vena cava.- The left renal vein receivesa) The left gonadal vein,b) The left suprarenal vein, andc) The left Inferior phrenic vein, and may receive# A root of the hemiazygos vein before crossing anterior to the aorta to join the IVC.